Fracture of 1st metacarpal bone: (Repeat)
1. B arton' s fractu re
2. Bennett's fracture
3. Chauffer's fracture
4. Boxer's fracture

Correct answer: 2. Bennett's fracture

Explanation: Ans: B (Bennett's fracture) Ref: Apley's Orthopedics, 9th ed. & Internet SourcesExplanation:FractureDescriptionAviator fractureFracture of neck of TalusBankart's fractureFracture of anterior glenoid associated with anterior shoulder dislocationBarton's fractureDistal radius fracture involving the articular surface with dislocation of the rad ocarpai jointBennett's fractureIntra-articular fracture of base of Thumb metacarpalBosworth fractureFracture of distal fibula with posterior dislocation of the proximal fibula behind the SibiaBoxer's fractureFracture of neck of little metacarpalBumper fracture tibial plateauCompression fracture of lateralChance fractureHorizontal fracture of vertebral bodyChauffeur's fractureIntra-articular fracture of radial styloidChopart's fracture- dislocationFoot dislocation through talonavicular and calcaneocuboid joints with associated fractures, usually after ankle twisting.treated in a non weight bearing cast for 6-8 weeksClay shoveller'sfractureSpinous process fracture of C6, C7 or T1Colles' fractureDistal radius fracture with dorsal angulation, impaction and radial driftDuverney fractureIsolated fracture of She iliac wingEssex-LoprestifractureComminuted radial head fracture with interosseous membrane disruption and distal radioulnar oint suciuxai onGaleazzi fractureRadius shaft fracture with dislocation of d stal radioulnar jo n:Gosselin fractureV-shaped distal tibia fracture extending into the tibial plafondHangman's fractureFracture of both pedicles of C2Hill-Sachs fractureImpacted posterior humeral headfracture cccumng during anterior shoulder dislocationHolstein-LewisfractureFracture of the distal third of thehumerus resulting in entrapment of the radial nerveHoldsworth fractureUnstable spinal fracture-d slocation at the thoracolumbar junctionHume fractureOlecranon fracture with anterior dislocation of radial headJefferson fractureFracture of first cervical vertebraJones fractureFracture of base of 5th metatarsalextend ng into intermetatarsai jointLe Fort fracturesSeries of facial fracturesLe Fort's fracturethe ankleVertical fracture of distal fibula with of avulsion of medial nnalleo usLisfranc fractureFracture dislocation of midfootMaisonneuvefractureSpiral fracture of proximal fibulaMalgaigne'sfractureVertical pelvic fracture through both pubic rami and the ilium orsacroiHiac joint with vertical displacementMarch fractureStress fracture of a metatarsal shaftMonteggia fractureProximal ulna fracture with dislocation of radial headMoore's fractureDistal radius fracturewith ulnar dislocation and entrapment ofstyloid process under annular ligamentPipkin fracture- dislocationPosterior dislocation of hip with avulsion fracture of fragment of femoral head by the igamentun teresPott's fractureBimalleolar fracture of the ankleRolando fractureComminuted fracture of base of first metacarpalRunner's fractureStress fracture of distal fibula 3-8 cm above the lateral malleolusSalter-HarrisfractureFractures involving a growth plateSegond fractureLateral tibial plateau avulsion fracture with anterior cruciate ligament tearShepherd'sfractureFracture of the lateral tubercle of the posterior process of the talusSmith's fractureDistal radius fracture with volar disolacementStieda fractureAvulsion fracture of the medial femoral condyle at the origin of the med al collateral ligamentTillaux fractureSalter-Harns Ml fracture of the tibiaToddler's fractureUndisplaced spiral fracture ofdistal tibia ir children under 8 years old